Under which section, police can arrest a person and ask the medical officer to examine him without victims consent -
1. Sec 330 IPC
2. Sec 53 CrPC
3. Sec 190 IPC
4. Sec 304-A IPC

Correct answer: 2. Sec 53 CrPC

Explanation: Ans. is 'b' i.e., Sec 53 CrPC o 53 CrPC: An accused can be examined by a medical practitioner at the request of police, even without his consent or by force. o 304-A IPC: Causing death by negligence (criminal negligence) which also includes medical negligence (Punishable by up to 2 years or fine or both). o 330, 331, 339, 341 IPCs : Torture. o 190 IPC: Threat of refraining a person from applying protection to a public servant.